Metronidazole is LEAST likely to be effective in the treatment of :
1. Hepatic amoebiasis
2. Infection caused by Bacteroides fragilis
3. Pseudomembranous colitis
4. Pneumocystosis

Correct answer: 4. Pneumocystosis